The tendency for drifting of posterior teeth into extraction space is more in
1. Mandible
2. Maxilla
3. Maxilla and Mandible
4. Primary than Permanent teeth

Correct answer: 2. Maxilla